Fasciculations are seen in -
1. Motor neuron disease
2. Duchenne's muscular dystrophy
3. Polymyositis
4. None of the above

Correct answer: 1. Motor neuron disease